Crude birth rate of a Country XYZ has started decreasing, but crude death rate is already decreasing. Country lies in which stage of Demographic cycle?
1. Late expanding
2. Early expanding
3. Low stationary
4. High stationary

Correct answer: 1. Late expanding

Explanation: Demographic cycle based on CBR & CDR Demographic cycle CBR CDR 1st stage High stationary High High 2nd stage Early expanding High Start decreasing 3rd stage Late expanding Start decreasing Already decreasing 4th stage Low stationary Low Low 5th stage Declining CDR > CBR - India, currently is in stage-3.